Which of the following statements is NOT TRUE about NSAIDs?
1. Acetyl  salicylic  acid  is  an  irreversible  inhibitor  of COX enzyme.
2. Acetyl salicylic  acid  reduces  in  vivo  synthesis  of prostaglandins.
3. Its clearance is independent of plasma concentration.
4. Antiplatelet effect of low dose aspirin is related to pre-systemic COX inhibition.

Correct answer: 3. Its clearance is independent of plasma concentration.

Explanation: Aspirin follows zero order kinetics at higher doses. (Pseudo zero order drug).
Therefore at high dose, amount of drug excreted will be constant. That means clearance is not constant.